G.T.T post 1 hour sugar for gestational diabetes is >__ mg%?
1. 140
2. 150
3. 180
4. 200

Correct answer: 3. 180

Explanation: With OGTT using 100 gm glucose 1 hour value > 180 mg % 2 hour value > 155 mg% 3 hour value > 140 mg %